pH of the vagina during reproductive age is -
1. 2.5-3.7
2. 5-Apr
3. 7-Jun
4. 7.2-8.6

Correct answer: 2. 5-Apr

Explanation: Ans. is 'b' i.e., 4-5 PeriodpHBirth-2 weeks4-52 weeks-prepuberty PubertyShifts from alkaline to acidReproductive period4-5PostmenopauseNeutral or alkaline 6 to >7